Highest amount of saturated fatty acid is seen in:
1. Soya bean oil
2. Groundnut oil
3. Palm oil
4. Sunflower oil

Correct answer: 3. Palm oil

Explanation: Fatty acids and glycerol are derivatives of fat on hydrolysis and are reliable sources of energy. Among the given options, palm oil has the highest amount of saturated fatty acids. Palm oil has a concentration of 45% saturated fatty acids, 44% mono unsaturated fatty acids and 10% poly unsaturated fatty acids. Also palm oil tends to be a source of linoleic acid which is a essential fatty acid with a content of about 40%. Ref: Park's Textbook of Preventive and Social Medicine By K. Park, 19th Edition, Page 482